The protein responsible for elasticity of the muscle is:
1. Actin
2. Myosin
3. Titin
4. All

Correct answer: 3. Titin

Explanation: Titin is responsible for the elasticity of the muscle present in heart and skeletal muscle Actin and myosin are regarded as contractile proteins Ref:Guyton and Hall textbook of medical physiology 12th edition,page number:86,87